KOH wet mount is prepared for -
1. Herpes Zoster
2. Candida
3. Gonorrhea
4. Trichomonas vaginalis

Correct answer: 2. Candida

Explanation: Ans. is 'b' i.e., Candidate/: Harrison 17th/e Chapter 14; Greenwood 16th/e p. 570; Ananthnarayan 8th/ep. 601}Laboratory diagnosis of fungal infectionso Laboratory diagnosis of fungal infection depends on :Direct microscopyTissue specimens such as skin scarpings, are generally examined as wet mounts after treatment with 10% KOH.KOH (alkali) digests cells and other tissue materials, enabling the fungus elements to be seen clearly.Periodic acid Sc biff (PAS) and methenamine silver stains are valuable methods for the demonstration of fungal elements in tissue sections.Culturey Culture media used in mycology are : Sahouraud's glucose agar (most common ) 3. Com meal agarCzapek - Dox mediumCulture media are supplemented with chloramphenicol to minimize bacterial contamination and cycloheximide to reduce contamination with saprophitic fungi.Cultures are incubated at 22 - 30degC and 37degC.Serologv# For antibodies detection:1. Immunodiffusion2 Countercurrent immuno-electrophoresis3. Whole cell agglutination4. Complement fixation5. ELISA# For antigen detection 1. Latex particle agglutination2 ELISA4 PCR# Detection of fungal DNA in clinical material, principally blood, serum, broncho-alveolar lavage fluid and sputum, is increasingly used for diagnosis.